Which of the following enzyme uses zinc as a cofactor for its biochemical functions?
1. Pyruvate dehydrogenase
2. Pyruvate decarboxylase
3. a-ketoglutarate dehydrogenase
4. Alcohol dehydrogenase

Correct answer: 4. Alcohol dehydrogenase

Explanation: Zinc containing enzymes are: Alcohol dehydrogenase Carbonic anhydrase Retinine reductase Alkaline phosphatase Glutamate dehydrogenase Lactate dehydrogenase DNA and RNA polymerase d-ALA dehydratase Ref: Medical Biochemistry By Chatterjea, 2011, Page 627.